The function of common neutrophils ,monocytes, macrophages is
1. Immune response is reduced
2. Phagocytosis
3. Liberation of histamine
4. Destruction of old erythrocytes

Correct answer: 2. Phagocytosis

Explanation: Ref Robbins 9/e p97 phagocytosis is a major mechanism used to remove pathogens and cell debris. The ingested material is then digested in the phagosome. Bacteria, dead tissue cells, and small mineral particles are all examples of objects that may be phagocytized. Some protozoa use phagocytosis as means to obtain nutrients The common function of neutrophil ,monocytes and macrophages is phagocytosis it's the most common function